Which of the following conditions can cause transient proteinuria?
1. Fever
2. Dehydration
3. Heavy exercise
4. All of the above

Correct answer: 4. All of the above

Explanation: Ans. D. All of the aboveProtein concentration of 100-1000mg/m2/day indicates mild to moderate proteinuria; more than that is heavy proteinuria.Fever, dehydration and heavy exercise may cause transient and mild proteinuria. Mild proteinuria may occur in UTI, hydronephrosis and renal tuberculosis.